Which of the following has Higher Hounsfield Unit?
1. CSF
2. Fat
3. Air
4. Grey matter

Correct answer: 4. Grey matter